A woman has had history of off and on repeated 1st trimester bleeding episodes. She is now 28 weeks of gestation, while prognosticating her about further pregnancy outcome, she is told to have increased risk of?
1. Preterm labor
2. IUGR
3. Abruption
4. All of the above

Correct answer: 4. All of the above

Explanation: Ans. D. All of the aboveAdverse Outcomes That Are Increased in Women with Threatened AbortionMaternalPerinatalPlacenta previaPlacental abruptionManual removal of placentaCesarean deliveryPreterm ruptured membranesPreterm birthLow-birthweight infantFetal-growth restrictionFetal and neonatal death